WYDASE is:
1. Jet injector.
2. Hyaluronidase.
3. CCLAD.
4. EDA.

Correct answer: 2. Hyaluronidase.